Burst fracture of cervical spine is due to
1. Whiplash injury
2. Fall of weight on neck
3. Vertical compression injury
4. Car accident

Correct answer: 3. Vertical compression injury

Explanation: C i.e. Vertical compression injury